You are examining the specimen taken from a child with Otitis. On microscopy you see capsulated lanceolate diplococci and the culture of the specimen shows a draughtsman appearance. What is the diagnosis?
1. Meningococcus
2. Gonococcus
3. Pneumococcus
4. Enterococcus

Correct answer: 3. Pneumococcus

Explanation: Pneumococci are gram positive lanceolate diplococci with capsules. When grown on blood agar the colony, assume a dome shape with an area of alpha haemolysis and resembles S.viridans. On further incubation the colonies become flat with raised edges and central depression, so that concentric rings are seen on the surface when viewed from above. ie it has carrom coin/ draughtsman appearance. Ref: Textbook of Microbiology by R.Ananthanaraya, Edition 6, Page 201